Human immunodeficiency virus (HIV) affects:
1. Red blood cells
2. Fibroblasts
3. Helper T lymphocytes (CD4)
4. Mast cells

Correct answer: 3. Helper T lymphocytes (CD4)